Pontic design for anterior should be of following to give excellent aesthetics:
1. Ridge lap
2. Sanitary.
3. Ovate.
4. Bullet-shaped.

Correct answer: 3. Ovate.